The book "Airs, Water and Places" considered a treatise on social medicine and hygiene is a work of
1. Hippocrates
2. John Snow
3. John Simon
4. John M Last

Correct answer: 1. Hippocrates

Explanation: Hippocrates distinguished between diseases which are epidemic and those which are endemic. His book &; Airs, Water and places are considered a treatise on social medicine and hygiene. The Hippocratic concept of health and disease stressed the relation between man and his environment.Park 23e pg: 3